In a patient with acoustic neuroma, all are seen except -
1. Facial nerve may be involved
2. Reduced corneal reflex
3. Cerebellar signs
4. Acute episode of vertigo

Correct answer: 4. Acute episode of vertigo

Explanation: Lets see Each Option Separately

Option a – Facial nerve may be involved –

This is correct as we have discussed in previous Questions,. facial nerve may be involved but complete palsy doesnot occur

Option b – Reduced corneal reflex –

This is correct reduced corneal reflex is the first sign of Trigeminal nerve involvement

Option c – Cerebellar signs – This is correct
Option d – Acute episodes of vertigo

“Vestibular symptoms seen in acoustic neuroma are imbalance or unsteadiness. True vertigo is seldom seen”

Acute episode of vertigo is a rare presenting feature in acoustic neuroma since it is a slow growing tumor so there is adequate time for compensation.